Mycobacterium tuberculosis was discovered by -
1. Louis pasteur
2. Robert koch
3. Lister
4. Jenner

Correct answer: 2. Robert koch